Circuvallate papilae are innervated by:
1. 6th nerve
2. 7th nerve
3. 8th nerve
4. 9th nerve

Correct answer: 4. 9th nerve

Explanation: (9th nerve) Ref: 250-51-BDC-3, 848-Snell 7thCIRCUMVALLATE PAPILLAE: are situated on the mucous membrane just anterior to the sulcus terminalis and therefore their taste buds are innervated by the ninth cranial nerve. It is presumed that during development of the mucous membrane of the posterior third of the tongue becomes pulled anteriorly slightly. So that fibers of the ninth cranial nerve cross the sulcus terminals to supply these taste buds.Papillae of Tongue- Vallate or circumvallate papillae- Fungiform papillae - Distinguished by their bright red colour- Filiform papillae or conical papillae - They are smallest and most numerous of the lingual papillaePARTS OF THE TONGUENerve supplyAnterior two-thirdsPosterior one thirdsPosterior part or valleculaSensoryLingualGlossopharyngealInternal laryngeal branch of vagusTasteChorda tympani except vallate papillaeGlossopharyngeal including the vallate papillaeInternal laryngeal branch of vagusDevelopment of epitheliumLingual swelling of 1 arch, Tuberculum impar which soon disappearsThird arch which forms large ventral part of the hypobrachial eminenceFourth arch which forms small dorsal part hypobrachial eminence